Receptor mediated action is not seen in:
1. Alcohol
2. Antipsychotic
3. Antacids
4. Benzodiazepines

Correct answer: 3. Antacids